Vegetations on undersurface of A.V. valves are found in:
1. Acute Rheumatic corditis
2. Limban Sack's endocarditis
3. Non thrombotic bacterial endocarditis
4. Chronic rheumatic carditis

Correct answer: 2. Limban Sack's endocarditis

Explanation: Answer is B (Libman Sacks Endocarditis) Vegetation on under-surface of AV valves are typically seen in Libman Sacks Endocarditis (SLE).